A 21-year-old javelin thrower is diagnosed with a full-thickness ulnar collateral ligament (UCL) tear. On presentation, he complains of numbness and tingling in the ring and small fingers. Which muscle group would he be most likely to have motor weakness
1. Brachioradialis
2. Extensor carpi ulnaris
3. Abductor digiti minimi
4. Palmaris longus

Correct answer: 3. Abductor digiti minimi

Explanation: The patient is experiencing ulnar nerve paresthesias. If the patient had associated motor symptoms, they would manifest as weakness within the abductor digiti minimi. The other answer choices are muscles not innervated by the ulnar nerve.